Most common manifestation of Wilm's tumour is ________
1. Haematuria
2. Abdominal mass
3. Hypertension
4. Loss of weight

Correct answer: 2. Abdominal mass

Explanation: In Wilms tumor,most patients present with an asymptomatic abdominal mass detected by parents or physician during routine examination.Features at diagnosis include hematuria(10 25%),hypertension(25%),abdominal pain(30%),fever(20%),anorexia and vomiting. Reference:Essential pediatrics-Ghai,8th edition,page no:618.